Not a cardinal sign of chronic tonsillitis
1. Irwin Moore sign
2. Flushing of Anterior pillars
3. Upper deep cervical lymph nodes enlarged
4. Dull Tympanic membrane

Correct answer: 4. Dull Tympanic membrane